Heimilch valve is used for drainage of:
1. Pneumothorax
2. Hemothorax
3. Empyema
4. Malignant pleural effusion

Correct answer: 1. Pneumothorax

Explanation: Pneumothorax